Flank discoloration seen in this patient admitted with Pancreatitis is
1. Grey turner sign
2. Cullen sign
3. Kehr sign
4. Klein sign

Correct answer: 1. Grey turner sign

Explanation: Ans. (a) Grey turner sign* Skin discoloration seen in the loin in cases of hemorrhagic pancreatitis is grey turner sign* Cullen sign is pigmentation around Umbilicus.